Most common tumor in a female diagnosed with tuberous sclerosis is:
1. Rhabdomyosarcoma
2. Renal Angiomyolipoma
3. Pulmonary lymphangioleiomyomatosis
4. Optic glioma

Correct answer: 2. Renal Angiomyolipoma

Explanation: Tuberous Sclerosis:- AD syndrome Mutation of TSC : TSC 1/TSC2 gene Organ:- CNS :- Hamartoma :- Epilepsy. Renal:- Angiomyolipoma Eye:- Retinal glial hamartomas Lungs:- Pulmonary lymphangioleiomyomatosis. Heart:- Rhabdomyomas Skin :- lathery thickening (shagreen Patch) Ash leaf patch Subungual fibroma. CNS manifestation is most common which is epilepsy. Angiomyolipoma is most common tumor in female diagnosed with Tuberous Sclerosis Angiomyolipoma is a benign renal neoplasm originating from perivascular epithelioid cells (PEComa), It consists of vessels, smooth muscle, and fat in variable proportions (as shown in the image above)